All are true about local potential except
1. Does not follow all or none low
2. Can be depolarised or hyperpolarised
3. It is proportional to stimulus strength
4. Summation not possible

Correct answer: 4. Summation not possible

Explanation: Local Potential 

Proportional to stimulus strength
Does not follow all or none law
It is not propagated
Exhibits summation
Can be depolarising / hyperpolarising